All of the following are true about Broca's aphasia except:
1. Lesion lies in frontal lobe
2. Fluency is impaired
3. Neologisms are absent
4. Repetition is preserved

Correct answer: 4. Repetition is preserved

Explanation: Answer is D (Repetition is preserved): Repetition is impaired in both Broca's and Wernicke's aphasias. Aphasias are disorders of understanding, thought and word finding. Anomie aphasia : Remember : Most common language disturbance seen in - Head trauma = Anomie ApahsiaQ Most common language disturbance seen in - Metabolic encephalopathy = Anomie Apahsiae Most common language disturbance seen in - Alzheimer's disease = Anomie Apahsiae